True about Haemophilia A are all except -
1. PTT increased
2. PT increased
3. Clotting time is increased
4. Serum levels of factor VIII are decreased

Correct answer: 2. PT increased